Fetal kidneys start producing urine by:
1. 3 months
2. 4 months
3. 5 months
4. 6 months

Correct answer: 1. 3 months

Explanation: Ans. is a, i.e. 3 monthsRef. Williams Obs. 24/e, p 142Fetal kidneys start producing urine at 12 weeks = 3 months.Initial rate of production of urine = 7-14 ml/day.At term it is = 27 ml/hr or 650 ml/day.